Bulging fissures in lungs is seen in –
1. Klebsiella pneumonia
2. Staph pneumonia
3. Pulmonary oedema
4. Pneumoconiosis

Correct answer: 1. Klebsiella pneumonia

Explanation: The most important cause of bulging fissure is klebsiella pneumonia. Other causes are legionella pneumonia, streptococcal pneumonia, TB, Yersinia pestis, lung abscess, carcinoma bronchus